Radiolucent renal stone
1. Uric acid
2. Calcium oxalate
3. Triple phosphate
4. Calciumphosphate

Correct answer: 1. Uric acid

Explanation: Ans. (a) Uric acidRadiolucent kidney stones are-L.U.XRadio Lucent stones are Uric acid and Xanthine stones